All are ototoxic drugs except -
1. Streptomycin
2. Vancomycin
3. Furosamide
4. Atropine

Correct answer: 4. Atropine

Explanation: Ans. is 'd' i.e.. Atropine Important ototoxic drugso Aminglycoside antibiotics:Streptomycin, gentamycin, tobramycin, neomycin, fcanamycin, amikacin, sisomycino Other antibiotics: Erythromycin, vancomycin, polymixin B, colistin, Ampicillino Loop diuretics: Furosemide, Ethacrynic acido Antineoplastics : Cisplatin, carboplatin, nitrogen mustardo Antimalaria!s: Quinineo Analgesics: Salicylateso Other drugs : Propranolol, propylthiouracil